Binary (secondary) exposure to an antigen results in sudden increase in -
1. IgA
2. IgD
3. IgG
4. IgM

Correct answer: 3. IgG

Explanation: Secondary response: the response to subsequent stimuli with the same antigen. Usually 100-1000 times more than primary response. IgG is responsible for the secondary response. Reference: Anathanarayan & paniker's 9th edition, pg no:146